A 3 year old child is brought to the outpatient department with upper respiratory tract infection. On asking about his previous immunization history, it is found that he has had no primary immunizations from birth. What is the most appropriate step in the management of this patient?
1. Advise to come on the fixed immunization day of the week
2. Give BCG, OPV, DPT, measles vaccines
3. Give BCG, OPV, DPT, measles vaccines and vitamin A
4. Give BCG, OPV, DPT and advise to come after 4 weeks for the next doses of OPV and DPT

Correct answer: 3. Give BCG, OPV, DPT, measles vaccines and vitamin A

Explanation: If a child comes with no previous immunizations, then catch-up immunizations of BCG, OPV, DPT and measles vaccines along with vitamin A must be given at the time of visit to the clinic. Advise the parents to bring the child after 4 weeks for OPV-2 and DPT-2, and after a further 4 weeks for OPV-3 and DPT-3. Booster dose or fourth dose is given after a minimum interval of 6 months. The fifth dose is not needed if the fourth dose was given at 4 years or older. Ref: Ghai Essential Pediatrics, By O. P. Ghai, Piyush Gupta, V. K. Paul, 6th Edition, Page 121, 191, 200; Nelson Textbook of Pediatrics, By Kliegman, Stanton, St. Geme, Schor, Behrman, 19th Edition, Page 890.